True about external nose ?
1. Upper 2/3 is bony
2. Lower 1/3 is cartilaginous
3. Single lateral cartilage
4. Two nasal bones

Correct answer: 4. Two nasal bones

Explanation: Ans. is'd' i.e., Two nasal bones External nose has an osteocartilaginous framework of which upper one - third is bony and lower two-third is cartilaginous. Bony part :- Consists of two nasal bones. Cartilagenous part :- Consists of two upper lateral cartilages, two lower lateral cartilages, two or more lessar alar (or sesmoid) cartilages and a septal cartilage. So, there are 3 paired and 1 unpaired cartilages.